Inability to vocalise is?
1. Aphonia
2. Mutism
3. Alogia
4. Dysarthria

Correct answer: 1. Aphonia

Explanation: Ans. (a) AphoniaRef: Kaplan 10th ed ch-8, Oxford Handbook of Psychiatry edited by David Semple, Roger Smyth